Which bacteria is known as pfeiffer's bacillus
1. Hemophilus Influenzae
2. Mycoplasma pneumoniae
3. Burkholderia pseudomallei
4. Hemophilus aegyptius

Correct answer: 1. Hemophilus Influenzae

Explanation: H influenzae - pfeiffer's bacillus
M pneumoniae - Eaton's agent
B pseudomallei - Whitmore bacillus.